Compound used for fixation of protozoa found in stool is ?
1. Phenol
2. Hypochlorite
3. Formalin
4. Alcohol

Correct answer: 3. Formalin

Explanation: Differentiation from other amoebae may require the study of nuclear morphology after staining. Samples may be fixed with 10 per cent formalin, Schaudin's fixative or polyvinyl alcohol and stained with Gomorri trichrome or periodic acid Schiff stains. TEXTBOOK OF MEDICAL PARASITOLOGY,CKJ PANIKER,6TH EDITION,PAGE NO27